Asymmetric tonic neck reflex (ATNR) disappears at ______
1. 6 months
2. 5 months
3. 9 months
4. 8 months

Correct answer: 1. 6 months

Explanation: Asymmetric tonic reflex (ATNR) diappears by 6-7 months postnatally The tonic neck reflex is produced by manually rotating the infant's head to 1 side and observing for the characteristic fencing posture (extension of the arm on the side to which the face is rotated and flexion of the conralateral arm) An obligatory tonic neck response, in which the infant becomes "stuck" in the fencing posture, is always abnormal and implies a CNS disorder Ref: Nelson 21st edition pgno: 3059